Peripheral pulmonic stenosis may be seen in all Except
1. Williams syndrome
2. Alagille syndrome
3. Rubella syndrome
4. CMV

Correct answer: 4. CMV

Explanation: WILLIAMS SYNDROME:Supravalvular aortic stenosisPulmonary arterial branch stenosisElfin faciesIdiopathic hypercalcemia of infancyIntellectual disabilityThe most common cardiac lesion in Watson-alagille syndrome is peripheral pulmonary stenosis.The cardiac lesion in congenital rubella syndrome is PDA, pulmonary artery stenosis, VSD.Cardiac lesions are uncommon in cytomegalovirus infection. The manifestations of CMV disease are: IUGRHepatosplenomegalyBlueberry muffin spotsMicrocephalyPeriventricular calcificationsChorioretinitisSensorineural deafness